Drug of choice for the treatment of negative symptoms of schizophrenia is:
1. Chlorpromazine
2. Haloperidol
3. Clozapine
4. Doxepin

Correct answer: 3. Clozapine